Therapy of choice for diffuse toxic goiter in a patient over 45 years -
1. Surgery
2. Antithyroid drugs
3. Radio iodine
4. Antithyroid drugs first followed by surgery

Correct answer: 3. Radio iodine